Clomiphene is:
1. Anti-gonadotrophin
2. Progesterone (antagonist)
3. Oestrogen (partial agonist)
4. Anti-androgenic

Correct answer: 3. Oestrogen (partial agonist)

Explanation: Oestrogen (partial agonist)